TB is associated with
1. Caseous necrosis
2. Coagulative necrosis
3. Liquefactive necrosis
4. Fibrinoid necrosis

Correct answer: 1. Caseous necrosis